Reciprocal arm assembly is placed at
1. Gingival third
2. Junction of gingival third and middle third
3. Middle third
4. Junction of middle and occlusal third

Correct answer: 2. Junction of gingival third and middle third

Explanation: Reciprocal elements of the clasp assembly should be located at the junction of the gingival and middle thirds of the crowns of abutment teeth.